Bullous impetigo is caused by -
1. Streptococcus
2. Staphylococcus
3. Pseudomonas
4. Y. Pestis

Correct answer: 2. Staphylococcus

Explanation: Ans. is 'b' i.e., StaphylococcusImpetigoo Impetigo is a highly contagious, Gram-positive bacterial infection of superficial layer of epidermis. Impetigo occurs in Two forms : -1. Non - bullous impetigo (Impetigo contagiosa)It is the most common bacterial infection of children (occurs mainly in children in contrast to Bullous impetigo which occurs in infants). It is caused by both staphylococcus aureus and hemolytic group A streptococcus (Str. pyogens), though it is mostly caused by staph aureus. Most commonly occurs on face, i.e., around nose & mouth; and exposed parts, i.e., arms, legs. Presents erythematous macule/papule which changes into vesicle which soon ruptures with formation of crusting. Crust has characteristic features : -Honey-yellow colour in streptococcal impetigo.Waxy in staphylococcal impetigo.Lesion heal without scarring. Mucous membrane involvement is rare. Lymphadenopathy is common2. Bullous impetigoIt is caused by staphylococcus aureus most often phage type 71. It usually occurs in infants and manifests as vesicle that develop into bulla and later a pustule without any surrounding erythema. It mainly occurs on face. Mucous membrane may be involved (in contrast to impetigo contigiosa). Lymphadenopathy is rare.